Most important pathogen causing pneumonia in a patient with bronchiectasis is:
1. Streptococcus pneumoniae
2. Oral anaerobes
3. Acinetobacter spp
4. Staphylococcus aureus

Correct answer: 4. Staphylococcus aureus

Explanation: Important pathogen causing pneumonia in a patient with bronchiectasis 1. P. aeruginosa 2. Burkholderia cepacia 3. Staphylococcus aureus All others in the list are causing pneumonia in chronic alcoholic patients Ref: Harrison, E-18, P-2132.